Gas is filled as liquid in cylinder in – a) O2b) CO2 c) N2Od) Cyclopropanee) Halothane
1. bcd
2. d
3. ab
4. ac

Correct answer: 1. bcd

Explanation: Oxygen, nitrogen, air and helium → Gaseous form
Nitrous oxide, carbon dioxide and cyclopropane → Liquid in equilibrium with saturated vapour.